Malaria is transmitted by
1. Female anopheles mosquito
2. Male anopheles mosquito
3. Culex mosquito
4. Aedes mosquito

Correct answer: 1. Female anopheles mosquito

Explanation: Ans. a (Female anopheles mosquito). (Ref. Park, PSM, 17th/pg.l94)TRANSMISSION OF MALARIA IS BY THREE MODES:# Vector transmission--by female anopheline mosquito# Direct--IM, IV, blood transfusion, drug addicts# CongenitalEducational point:# Blood transfusion of a person in endemic region and who has had malaria should not be accepted as donor until 3 years later.